Which of the following drug is ADP receptor inhibitor?
1. Aspirin
2. Clopidogrel
3. Abdximab
4. Terutroban

Correct answer: 2. Clopidogrel

Explanation: ANSWER: (B) ClopidogrelREF: Lippincott pharmacology 6th ed page 263"Tidopidine and clopidogrel are structurally related drugs that irreversibly inhibit platelet activation by blocking specific purinergic receptors for AD P on the platelet membrane"ANTIPLATELET DRUGSIrreversible cyclooxygenase inhibitors:Acetylsalicylic acid/Aspirin AloxiprinCarbasalate calciumIndobufenTriflusalAdenosine diphosphate (ADP) receptor inhibitors:ClopidogrelPrasugrelTidopidineCangrelorElinogrelTicagrelorGlycoprotein IIB/IIIA inhibitors (intravenous use only)AbciximabEptifibatideTirofibanProstaglandin analogue (PGI2)BeraprostProstacyclinIloprostTreprostinilPhosphodiesterase inhibitorsCilostazolDipyridamoleTriflusalThromboxaneinhibitorsThromboxane synthase inhibitorsDipyridamolePicotamide Thromboxane receptor antagonistsTerutroban Aspirin Vs ADP receptor inhibitorsAspirinADP receptor inhibitorPolypharmacological effectsProduces both platelet and vascular effectsMultiple actions (analgesic, anti-inflammatory)Single receptor targeting agentOnly produces platelet mediated responseOnly produces inhibition of platelets